In a 4 x 5 table for Chi-square test, what is the degree of freedom?
1. 20
2. 16
3. 12
4. 9

Correct answer: 3. 12

Explanation: Ans. (c) Used to test ignificanc of association between two quantititve dataRef : K. Park 23rd ed. / 852* DEGREE OF FREEDOM: it is the no. of observations in a dataset that can freely vary once the parameters have been estimated.* It is used in chi-square test and t-test.* DOF: (c-1) (r-1), where c is no. of columns and r is no. of rows.* In the given question there are 4 columns and 5 rows.* Therefore (4-1) (5-1) gives 12.